Dancing carotid is seen in:
1. Thyrotoxicosis
2. Hypothyroidism
3. AV Fistula
4. Blow out carotid

Correct answer: 1. Thyrotoxicosis

Explanation: Ans. (a) ThyrotoxicosisRef: Bailey and Love Page 756 /26th edition* Most common manifest of Toxicosis - Sinus Tachycardia* Order of appearance of arrhythmias - Multiple Extrasystoles followed by Paroxysmal atrial tachycardia followed by Paroxysmal Atrial Fibrillation and Persistent Atrial Fibrillation not responding to Digoxin.* Means - Lerman Scratch - Systolic scratch sound heard in 2nd Intercostal Space during expiration* Dancing carotids due to hyperdynamic circulation seen in - Aortic regurgitation and Thyrotoxicosis